A 5 year old boy presents with leucocoria in the right eye which is diagnosed as diffuse retinoblastoma involving the entire globe. Examination of the left eye revealed a small 2-3 mm tumor in the periphery. What will be the ideal management of this patient?
1. Enucleation of both eyes
2. Enucleation of right eye and observation for left eye
3. Enucleation of right eye and focal therapy of the left eye
4. Six cycles of chemotherapy

Correct answer: 3. Enucleation of right eye and focal therapy of the left eye

Explanation: Ans. (c) Enucleation of right eye and focal therapy of the left eyeRef: Yanoff 2/e, p. 1047; Other ReferencesBilateral retionoblastoma with large/diffuse retinoblastoma in eyeLarge tumorDiffuse tumor (Full globe)Small tumor in fellow eyeNormal fellow eyeSmall tumor in fellow eyeNormal fellow eyeChemotherapy for large tumor plus focal therapy for small tumor in fellow eye.EnucleationEnucleation for diffuse tumor plus focal theraphy for small tumor in fellow eyeEnucleation for diffuse tumor